In a patient of chronic asthma on treatment with theophylline, which of the following should not be used to treat his upper respiratory tract infection?
1. Ampicillin
2. Cephalexin
3. Erythromycin
4. All

Correct answer: 3. Erythromycin